Diuretic causing gynaecomastia is -
1. Lubiprostone
2. Spironolactone
3. Cimetidine
4. Chlorthalidone

Correct answer: 2. Spironolactone

Explanation: Ans. is 'b' i.e., Spironolactone Drugs causing gynecomastia* Calcium channel antagonist* Isoniazide* Reserpine* Clomiphene* Ketoconazole* Digitalis* Methyldopa* Estrogens* Testosterone* Flutamide* Phenytoin* Cimetidine* Ethionamide* Griseofulvin* Goserelin* Griseofulvin* Spironolactone* Cyprotenrone acetate Note: Cimetidine also causes gynaecomastia, but it is not a diuretic.